Primary site of infection in Cryptococcosis is
1. Adrenal glands
2. Bone
3. Central nervous system
4. Lungs

Correct answer: 4. Lungs

Explanation: Infection is acquired by inhalation causing pulmonary cryptococcosis leading to mild pneumonitis. Ref: Textbook of Microbiology, Ananthanarayan and Paniker; 9th edition